Wilson's diseases, features are all except:
1. Sunflower Cataract
2. Tremors
3. Pronounced sensory changes
4. Renal Calculi may be seen

Correct answer: 3. Pronounced sensory changes

Explanation: Answer is C (Pronounced Sensory Changes): Sensory changes are not seen in Wilson's disease. Sensory abnormalities and muscular weakness are not features of Wilson's Disease' - Harrison 18th/3188 Neurological manifestations of Wilson's disease include Tremors Neurological manifestations of Wilson's disease result from deposition of Copper in the basal ganglia and occasionally in the pons, medulla. thalamus cerebellum and subcortical areas. Movement Disorders Three types of movement disorders may be seen: Dystonia Incoordination Tremor Autonomic Disturbances Orthostatic Hypotension Sweating abnormalities Bowel dysfunction Bladder dysfunction Sexual dysfunction Others Migraine Type Headaches Memory loss Difficulty focusing on tasks (but cognition is usually not grossly impaired) Dysarthria and dvsphagia are common. Renal calculi and Sunflower cataracts may be seen in Wilson's disease 'Sunflower cataracts and Kayser-Fleischer (KF) Rings may be seen' - Harrison 'Cholelithiasis and Nephrolithiasis (Renal Stones) occur with increased frequency'- Harrison